Nasopharyngeal Ca; Most common site is :
1. Fossa of Rosenmuller
2. Post end of septum
3. Post part of Nasal cavity close to the margin of sphenopalatine foramen.
4. Lateral part of nasopharynx

Correct answer: 1. Fossa of Rosenmuller

Explanation: Ans. is 'a' i.e. Fossa of Rosenmuller Nasopharyngeal Ca:MC type is * - Squamous cell CaLymph node involvement is very common. Sometimes a cervical node may be the only manifestation of nasopharyngeal cancer (occult primary)Treatment of choice - Radiotherapy *